Superior gluteal nerve supplies all of the following muscles except?
1. Gluteus maximus
2. Gluteus medius
3. Gluteus minimus
4. Tensor fascia lata

Correct answer: 1. Gluteus maximus

Explanation: Nerve Muscles innervated Action Superior gluteal nerve Gluteus Medius Gluteus minimus Tensor fascia lata These three muscles are collectively called as trio muscles Abductors , medial rotators of hip & help in walking by counteracting gravity. Inferior gluteal nerve (L5, S1, S2) Gluteus maximus chief extensor of thigh (especially from flexed position) assists in lateral rotation of thigh & rising from sitting position